Hypothyroidism in pregnancy is least likely associated with:
1. Recurrent abortions
2. Polyhydramnios
3. Pregnancy induced hypertension (PIH)
4. Prematurity

Correct answer: 2. Polyhydramnios

Explanation: Hypothyroidism is associated with early abortions, preterm labor, still birth. The baby of a severe hypothyroidism may be born a cretinism which is a severe form of brain dysfunction associated with deaf mutism, spastic motor disorder and hypothyroidism. The association with PIH results in an early delivery and hence a low birth weight. There is high association with PIH and is not known to give rise to polyhydramnios.